Granulomatous infantisepticum is caused by:
1. HSV-1
2. HSV-2
3. Listeria
4. Group B streptococcus

Correct answer: 3. Listeria

Explanation: Ans. is. 'c' i. e., Listeria